Bimatoprost is used in -
1. Glaucoma
2. Barrett oesophagus
3. Hypertrichosis of eyelid
4. NSAIDS ulcer

Correct answer: 1. Glaucoma

Explanation: Ans. is 'a' i.e., Glaucoma o Lantanoprost, bimatoprost, travoprost and unoprostone are prostaglandin analogues used for glaucoma treatment.